A city with 800 deaths per year. Mortuary, body stored for average duration of 8 days with 80% occupancy in a year. What number of mortuary beds needed?
1. 22
2. 17
3. 7
4. 34

Correct answer: 1. 22

Explanation: In the given question, Total Bed-days required per year = Total number of admission per year * average length of stay in hospital = 800*8 = 6400 Total number of beds required when occupancy is 100%= Bed-days per year/365 days = 6400/365 = 17.5 = 18 beds. Total number of beds required when occupancy is 80% = Bed-days per year/ (365 * 80%) = 365*80%= 21.9 beds = 22 beds. Ref: District Health facilities: Guidelines for Development & Operations by WHO Pgno: 8